Which is the most common site for peptic ulcer disease ?
1. Second portion of Duodenum
2. Proximal stomach
3. Distal stomach
4. First portion of duodenum

Correct answer: 4. First portion of duodenum

Explanation: First portion of duodenum is the most common site for PUD.